A 40-year-old man was repairing his wooden shed on Sunday morning. By afternoon, he felt that the hammer was becoming heavier and heavier. He felt pain in the lateral side of the elbow and also found that squeezing water out of sponge hurt his elbow. Which of the muscles are most likely involved-
1. Biceps brachii and supinator
2. Flexor digitorum superficialis
3. Extensor carpi radialis longus and brevis
4. Triceps brachii and anconeous

Correct answer: 3. Extensor carpi radialis longus and brevis

Explanation: It is a typical case of Tennis elbow. As the patient is having pain when there is stretch on extensor of the forearm by flexing the wrist and fingers with elbow pronated (as in squeezing water out of sponge or towel).